Rhinophyma is (a complication of -
1. Glandular form of acne rosacea
2. Form of acne vulgaris
3. Affects the scalp
4. A form of dermatofibroma

Correct answer: 1. Glandular form of acne rosacea

Explanation: A i.e. Glandular form of acne rosacea